The most common cause of intestinal obstruction is
1. Adhesions
2. Volvulus
3. Intussuception
4. Hernia

Correct answer: 1. Adhesions

Explanation: Adhesions are the most common cause of intestinal obstruction in almost 40% of cases. The clinical manifestation are Intestinal obstruction Abdominal pain Abdominal distension Vomiting and constipation Ref: Bailey and love 27th edition Pg no : 1278